The following is not a function of rough endoplasmic reticulum:
1. Protein synthesis
2. Protein folding
3. Degradation of miss folded proteins
4. Steroid synthesis

Correct answer: 4. Steroid synthesis

Explanation: Rough endoplasmic reticulum is associated with: Protein synthesis Protein folding Degradation of miss folded proteins Steroid synthesis is function of smooth endoplasmic reticulum. Ref:Guyton and Hall textbook of medical physiology 12th edition,page number: 10,11,12